Which of the following is the causative organism of Verruca vulgaris:
1. CMV
2. Human immunodeficiency virus
3. Human papilloma virus
4. Ebstein barr virus .

Correct answer: 3. Human papilloma virus

Explanation: Ans: (c) Human papilloma virusRef.: Fitzpatrick Colour Atlas 7th ed. / 639* Causative organism of verruca vulgaris is human papilloma virus.WARTS* Caused by Human Papilloma virus (HPV). It is the most common virus induced tumor and shows Koebner's phenomenon.* Condyloma Acuminata are genital warts caused most commonly by human papilloma virus type 6 and 11.* DOC: 20% podophyllin or glutaraldehyde.* In pregnancy: DOC is trichlor acetic acid.* Most common wart: Verruca VulgarisWartsSeen in* Plane wartV. plana* Filiform wartV. filiformis* Plantar wartV. plantaris or myrmecia wart* Veneral wartCondylomata accuminata* Massive wartBuschke lowen stein tumor* Condyloma lataTreponema Pallidum